Taxonomically chlamydia is a?
1. Bacteria
2. Virus
3. Fungus
4. Nematode

Correct answer: 1. Bacteria

Explanation: Ans. (a) BacteriaRef: Jawetz 24/e, chapter 28